Biphasic histopathology is seen in -a)  Rhabdomyomab)  Mesotheliomac)  Neurofibromatosisd)  Synovial sarcoma
1. bd
2. d
3. ab
4. ac

Correct answer: 1. bd

Explanation: Biphasic cellular pattern

Biphasic cellular pattern refers to a mixture of epithelial cells and spindle cells.
Tumors with biphasic cellular pattern are :-
Pleomorphic adenoma             
Malignant mixed mullerian tumor
Neuroendocrine tumors (e.g. carcinoid)       
Leiomyoblastoma
Synovial sarcoma          
Wilm' s tumor 
Malignant schwannoma     
Hepatoblastoma
Mesothelioma (biphasic)   
Phyllodes tumor   
Melanoma
Brenner's tumor   
Epitheloid sarcoma & leiomyosarcoma